The most common site for a peripheral aneurysm is -
1. Popliteal artery
2. Radial artery
3. Branchial artery
4. Femoral artery

Correct answer: 1. Popliteal artery

Explanation: Ans. is 'a' i.e., Popliteal artery o Popliteal artery aneurysm accounts for 70% of all peripheral aneurysms; two-thirds are bilateral. o Almost all patients (97%) with popliteal artery aneurysms are male. o Open surgical reconstruction with a saphenous vein bypass is the current gold standard for repair.